In formol-ether concentration technique, which layer contains the parasites?
1. Ether
2. Fecal debris
3. Formal water
4. Sediment

Correct answer: 4. Sediment

Explanation: Concentration techniques include:Sedimentation techniquesFormol-ether concentration techniqueFormol detergent concentration techniqueFloatation techniquesSodium chloride floatation techniquesZinc sulphate floatation techniqueSugar floatation techniqueFormol-ether concentration technique is overall best sedimentation technique. It is rapid and gives good results. The figure shown in reference mentioned clearly shows sediment-containing parasites.